The commonest cause of death in a patient with primary amyloidosis is -
1. Renal failure
2. Cardiac involvement
3. Bleeding diathesis
4. Respiratory failure

Correct answer: 2. Cardiac involvement